All are features of Barters syndrome, EXCEPT:-
1. Polyuria
2. Metabolic alkalosis
3. Periodic paralysis
4. Hypertension

Correct answer: 4. Hypertension

Explanation: Ans. is 'd' Hypertension In Barter's syndrome the B.P. is low to normal despite increased level of aldosterone.Classical clinical features of Barter's syndrome are:HypokalemiaMetabolic alkalosisPolyuria and NocturiaGrowth retardation.